Dental hygienist is included under
1. Non-operating auxiliaries
2. Operating auxiliaries
3. Dental specialist
4. Passive dental manpower

Correct answer: 2. Operating auxiliaries